A true eutectic alloy has melting point
1. Above that of low fusing metal
2. Above the melting point of either metal
3. Below that of high fusion metal
4. Below the melting point of either metal

Correct answer: 4. Below the melting point of either metal